ST segment elevation in ECG is not seen in?
1. Pericarditis
2. Hyperkalemia
3. Hypocalcemia
4. Hypothermia

Correct answer: 3. Hypocalcemia

Explanation: Hypocalcemia REF: Harrison's Principles of Internal Medicine 17th ed-chapter 221 "Hypercalcemia not hypocalcemia causes ST segment elevation on ECG" DIFFERENTIAL DIAGNOSIS OF ST SEGMENT ELEVATIONS Ischemia/myocardial infarction Non infarction, transmural ischemia (Prinzmetal's angina, and possibly tako-tsubo syndrome) Acute myocardial infarction Post myocardial infarction (ventricular aneurysm pattern) Acute pericarditis Normal variant ("early repolarization" pattern) Left ventricular hypertrophy/left bundle branch blockage Myocardial injury Myocarditis Tumor invading left ventricle Trauma to ventricles Other (rarer) Brugada pattern (right bundle branch block-like pattern with ST elevations in right precordial leads) Class 1C antiarrhythmic drugs DC cardioversion Hypercalcemia Hyperkalemia Hypothermia (J wave/Osborn waves)